Trophic ulcers are seen in all, Except:
1. Leprosy
2. Syringomyelia
3. Polio
4. All of the above (seen in all)

Correct answer: 3. Polio

Explanation: Answer is C (Polio): Polio is associated with a pure motor neuropathy. There is no sensory involvement in polio and hence trophic ulcers are not seen in polio.